Opioid antagonist that can be given orally –
1. Naltrexone
2. Naloxone
3. Nalbuphene
4. Pentazocine

Correct answer: 1. Naltrexone

Explanation: Amongst opioid antagonists :- Naloxone is given iv or im, Nalmefene is given iv, im or sc, and Naltrexone is given orally.